Glycine is used in the synthesis of all EXCEPT-
1. Purines
2. Creatine
3. Heme
4. Pyrimidines

Correct answer: 4. Pyrimidines

Explanation: Glycine as Precursor of Many Compounds WITH REGARD TO OTHER OPTIONS For pyrimidines, two amino acids are required i.e. Aspartate and Glutamine.